Recent oral direct thrombin inhibitor which cen be used for prevention of stroke is -
1. Dabigatran
2. Ximelagatron
3. Lepirudin
4. Saxagliptin

Correct answer: 1. Dabigatran

Explanation: Ans. is 'a' i.e., Dabigatran